Most common indication of liver transplantation in children:-
1. Biliary atresia
2. Wilson's disease
3. Hemochromatosis
4. Primary biliary cirrhosis

Correct answer: 1. Biliary atresia

Explanation: Indications of Liver Transplantation MC indication of LT HCV induced cirrhosisQ 2nd MC indication of LT Alcoholic liver diseases MC indication of pediatric LT Biliary atresiaQ MC metabolic disorder requiring LT Alpha-1 antytrypsin deficiencyQ MC indication for LT following acute liver failure Acetaminophen toxicityQ